Helper T-cells are primarily involved in -
1. Cell mediated immunity
2. Killing virus infected cells
3. Killing tumor cells
4. Involved in type II hypersensitivity

Correct answer: 1. Cell mediated immunity

Explanation: Ans. is 'a' i.e.. Cell mediated immunity